Tumor suppressor gene responsible for lung squamous cell carcinoma is?
1. p53
2. Rb
3. PTEN
4. p63

Correct answer: 1. p53

Explanation: Ans. is 'a' i.e., p53 Different genes involved in lung carcinoma* c-MYC and RB - small cell cancer* RAS and p 16 - non-small cell cancer* p53 - both small and non-small cell, but highest in squamous cell carcinoma* K-RAS -adenocarcinoma# In small cell cancer there is high expression of the antiapoptotic gene BCL 2 and low expression of the Proapoptotic gene BAX.